Which of the following structure doesn't pierce sacrotuberous ligament
1. Inferior gluteal artery
2. Perforating cutaneous nerve
3. Posterior femoral cutaneous nerve
4. Coccygeal plexus

Correct answer: 3. Posterior femoral cutaneous nerve

Explanation: Sacro - tuberous ligament. Structures piercing sacro-tuberous ligament are coccygeal branches of inferior gluteal artery perforating cutaneous nerve filaments of coccygeal plexus.